Amplifier for Japanese encephalitis -
1. Horse
2. Pigs
3. Dogs
4. Monkey

Correct answer: 2. Pigs

Explanation: Ans. is 'b' i.e., Pigs In Japanese encephalitiso Pigso Cattle and buffaloso Mano Herons- Amplifiers- Mosquito attractants- Incidental dead-end host- Reservoir hosts